ADR of acarbose
1. Flatulence
2. Hypoglycemia
3. Periodic Hyperglycemia
4. Weight gain

Correct answer: 1. Flatulence

Explanation: The most common ADR of alpha glucosidase inhibitors are flatulence due to indigestion of polysaccharides Ref: Katzung 12th ed, diabetis Mellitus..